All the following increase insulin release except
1. Rosiglitazone
2. Nateglinide
3. Glipizide
4. Exenatide

Correct answer: 1. Rosiglitazone

Explanation: Glitazones -insulin sensitizers.they will not produce insulin from beta cells.a cells of pancreas There are insulin sensitizers and insulin secretogogues. insulin secretogogues increase the insulin secretion from the beta cells of pancreas.where as insulin sensitizres help in secsitizing the tissue to already present insulin. which include GLP 1 analogue,glinides,sulfonylureas. Ref: Katzung 12th ed.